Bitemporal hemianopia is seen in lesion of
1. Optic tract
2. Optic chiasma
3. Optic nerve
4. Occipital lobe

Correct answer: 2. Optic chiasma

Explanation: (B) Optic chiasma > Bitemporal hemianopsia - The loss of the fields closest to the temples.Bitemporal hemianopsia most commonly occurs as a result of tumors located at the mid-optic chiasm.> Since the adjacent structure is the pituitary gland, some common tumors causing compression are pituitary adenomas, and craniopharyngiomas.> Also another relatively common neoplastic etiology is meningiomas. An etiology of vascular origin is an aneurysm of the anterior communicating artery which arise superior to the chiasm, enlarge, and compress it from above.